Earliest symptom of retinitis pigmentosa –
1. Ring scotoma
2. Night blindness
3. Tubular vision
4. None

Correct answer: 2. Night blindness

Explanation: Night blindness (nyctalopia) is the earliest symptom.